Pneumatosis Intestinalis is associated with?
1. Necrotising Enterocolitis
2. Gall Stone ileus
3. Diverticulosis
4. Hirschsprung Disease

Correct answer: 1. Necrotising Enterocolitis

Explanation: Pneumatosis Intestinalis is the presence of intramural air seen in Stage IIb of Necrotising Enterocolitis / Intestinal ischemia.